Modifiable risk factors for hypertension is ?
1. Ethinicity
2. Age
3. Sex
4. Obesity

Correct answer: 4. Obesity

Explanation: park's textbook of preventive and social medicine 23rd edition. *modifiable risk factors :obesity,salt intake,saturated fat,alcohol,heart rate,physical activities ,environmental stress,socio-economic status. *non-modifiable risk factors: age,sex,genetic factors,ethnicity.